Mediators of inflammation are all except
1. TNFalpha
2. IFN
3. Prostaglandins
4. Myeloperoxidase

Correct answer: 4. Myeloperoxidase